A patient is coming to the orthopaedic surgeon with a hindfoot deformity for triple arthrodesis. Which of the following bones are fused in triple arthrodesis?
1. Subtalar, Calcaneocuboid, Talonavicular
2. Subtalar, Tibiofibular, Calcaneocuboid
3. Tibiofibular, Talonavicular, Subtalar
4. None of the above

Correct answer: 1. Subtalar, Calcaneocuboid, Talonavicular

Explanation: Triple arthrodesis results in fusion of subtalar, calcaneocuboid, and talonavicular joints. It is most effective procedure for fixed hindfoot and forefoot deformities. Triple arthrodesis tend to have a high (50%) failure rate in children under 10 years of age. Fusion of the above said bones is done after 12 years of age only because before that the bones are caillagous.